Drug of choice for Listeria monocytogenes is
1. Amoxycillin
2. Ampicillin
3. Vancomycin
4. Amikacin

Correct answer: 2. Ampicillin

Explanation: Non-Spore-Forming Gram-Positive Bacilli: Corynebacterium, Propionibacterium, Listeria, Erysipelothrix, Actinomycetes, & Related Pathogens
Many antimicrobial drugs inhibit listeria in vitro. Clinical cures have been obtained with Ampicillin with erythromycin, or with intravenous trimethoprim-sulfamethoxazole.
Cephalosporins and fluoroquinolones are not active against L monocytogenes. Ampicillin plus gentamicin is often recommended for therapy, but gentamicin does not enter host cells and may not help treat the listeria infection